In comparison to inhaled adrenergic agonists, the inhaled anticholinergics:
1. Are more effective in bronchial astham
2. Are better suited for control of an acute attack of asthma
3. Produce slower response in bronchial asthma
4. Produce little benefit in chronic obstructive lung disease

Correct answer: 3. Produce slower response in bronchial asthma

Explanation: (Ref: KDT 6/e p222) Anticholinergic drugs like ipratropium and tiotropium produce slower response in bronchial asthma. Anticholinergic drugs are more effective in COPD than bronchila asthma.